Which of the following is used for medical adrenalectomy?
1. Mitotane
2. Methotrerate
3. Doxorubicin
4. 5-Fluorouracil

Correct answer: 1. Mitotane

Explanation: medical adrenelectomy or pharmacological adrenelectomy means- using medications or drugs to suppress the production of hormones from the adrenal gland Mitotane is highly effective in the long-term management of Cushing's syndrome but has a slow onset of action. Mitotane combined with fast-acting steroidogenesis inhibitors might avoid the need for emergency bilateral adrenalectomy in patients with severe hypercortisolism. KD Tripathi 8th ed